Which is the most important prognostic marker in ALL?
1. Leucocyte count >50000
2. Hyperploidy
3. Response to treatment
4. Organomegaly

Correct answer: 3. Response to treatment

Explanation: Response to treatment is the most important prognostic marker in ALL. Leucocyte count> 50000/ul Poor prognosis Hyperploidy Favorable prognostic factor Response to treatment Remission status at 14 days of chemotherapy is best guide to prognosis. Organomegaly Poor prognosis. Lymph node, liver, spleen and testis enlargement indicate spread of cancer Unfavorable prognostic factors for ALL: Extreme age group: <1 year or >10 years Black males TLC>1 lac/cu.mm Organomegaly CNS Leukemia L2 ALL, pre B cell and mature B cell ALL Hypoploidy t(9:22) and t(4:11) Remission> 14 days